Which is not a feature of SVC syndrome?
1. Esophageal varices
2. Facial plethora
3. Laryngeal edema
4. Caput medusae

Correct answer: 4. Caput medusae

Explanation: SVC syndrome is related to lung cancer * It could be seen with Retrosternal Goiter * Features- Esophageal varices * Facial plethora * Laryngeal edema (due to congestion) *Caput Medusa - Seen in Portal HTV